GnRH agonist is used in all EXCEPT
1. Delaying puberty in individuals with precocious puberty
2. Endometriosis
3. Hypoestrogenism
4. Congenital adrenal hyperplasia

Correct answer: 3. Hypoestrogenism

Explanation: (C) Hypoestrogenism# Gonadotropin-Releasing Hormone Agonist (GnRH agonist, GnRH-A) is a synthetic peptide modeled after the hypothalamic neurohormone GnRH that interacts with the gonadotropin-releasing hormone receptor to elicit its biologic response, the release of the pituitary hormones FSH and LH.# H agonists are useful in:> Suppression of spontaneous ovulation as part of controlled ovarian hyperstimulation, which is an essential component in in vitro fertilisation (IVF).> Typically, after GnRH agonists have induced a state of hypoestrogenism, exogenous FSH is given to stimulate ovarian follicle, followed by human chorionic gonadotropins (hCG) to trigger oocyte release.> GnRH agonists routinely used for this purpose are: buserelin, leuprorelin, nafarelin, and triptorelin.> Final maturation induction after having performed controlled ovarian hyperstimulation.> Usage of GnRH agonist for this purpose necessitates using a GnRH antagonist instead of a GnRH agonist for suppression of spontaneous ovulation, because using GnRH agonist for that purpose as well inactivates the axis for which it is intended to work for final maturation induction.> Treatment of cancers that are hormonally sensitive and where a hypogonadal state decreases the chances of a recurrence. Thus they are commonly employed in the medical management of prostate cancer and have been used in patients with breast cancer.> Treatment of delaying puberty in individuals with precocious puberty.> Delaying puberty pending treatment decisions in children with gender incongruency> Management of female disorders that are dependent on estrogen productions.> Women with menorrhagia, endometriosis, adenomyosis, or uterine fibroids may receive GnRH agonists to suppress ovarian activity and induce a hypoestrogenic state.> Suppressing hormone levels in transsexual people, especially trans women.> Severe cases of congenital adrenal hyperplasia> Side effects of the GnRH agonists are signs and symptoms of Hypoestrogenism, including hot flushes, headaches, and osteoporosis.